Anti arrhythmic drug is
1. Phentolamine
2. Phenobarbitone
3. Procainamide
4. Pentamidine

Correct answer: 3. Procainamide

Explanation: Refer kDT 7/e p 529 Phentolamine is a synthetic imidazoline with alpha-adrenergic antagonist activity. As a competitive alpha-adrenergic antagonist, phentolamine binds to alpha-1 and alpha-2 receptors, resulting in a decrease in peripheral vascular resistance and vasodilatation. Phenobarbital belongs to a class of drugs known as barbiturate anticonvulsants/hypnotics. Pentamidine is an antimicrobial medication used to treat African trypanosomiasis, leishmaniasis, babesiosis, and to prevent and treat pneumocystis pneumonia in people with poor immune function